Child with infratentorial tumour with spinal seedling is
1. Medulloblastoma
2. Meningioma
3. Astrocytoma
4. Glioblastoma

Correct answer: 1. Medulloblastoma

Explanation: (A) Medulloblastoma # MEDULLOBLASTOMA is a highly malignant primary brain tumour which originate in the cerebellum or the surrounding region below the tentorium are therefore called infratentorial tumours.> 2/3 rd of brain tumours in children are infratentorial out of which half of them are medulloblastomas and 1/3 are astrocytomas.> All Primary Neuro Ectodermal Tumours (like medulloblastoma) of the brain are invasive and rapidly growing tumors that, unlike most brain tumors, spread through the cerebrospinal fluid (CSF) and frequently metastasize to different locations in the brain and spine.> Symptoms are mainly due to secondary increased intracranial pressure like diplopia, papilledema, and sixth cranial nerve palsy.> Positional dizziness and nystagmus are also frequent and facial sensory loss or motor weakness may be present.>. Decerebrate attacks appear late in the disease.> This tumour is chemo sensitive & radiosensitive, and surgery is the main modality of treatment.